The cause of oedema in nephritic syndrome
1. Increase in plasma protein concentratn
2. Decrease plasma protein concentratn
3. Reduced plasma osmotic pressure
4. Sodium and water retention

Correct answer: 4. Sodium and water retention

Explanation: Robbins page no p922 Glomerular diseases presenting with a nephritic syn- drome are often characterized by inflammation in the glomeruli. The nephritic patient usually presents with hematuria, red cell casts in the urine, azotemia, oliguria, and mild to moderate hypertension. Proteinuria and edema are common, but these are not as severe as those encountered in the nephrotic syndrome, discussed later. The acute nephritic syndrome may occur in such multi- system diseases as SLE and microscopic polyangiitis.